Absorption of glucose in the intestine is by
1. Primary active transport
2. Secondary active transport
3. Facilitated diffusion
4. Simple diffusion

Correct answer: 2. Secondary active transport

Explanation: The transport of glucose and galactose depends on Na+ in the intestinal lumen; a high concentration of Na+ on the mucosal surface of the cells facilitates sugar influx into the epithelial cells while a low concentration inhibits sugar influx into the epithelial cells. Because the intracellular Na+ concentration is low in intestinal cells (as it is in other cells), Na+ moves into the cell along its concentration gradient. Glucose moves with the Na+ and is released in the cell (Figure 26-2). The Na+ is transported into the lateral intercellular spaces, and the glucose is transported by GLUT2 into the interstitium and thence to the capillaries. Thus, glucose transport is an example of secondary active transport the energy for glucose transport is provided indirectly, by the active transport of Na+ out of the cell. Ref:- Ganong, pg num:- 478